Axenfeld anomaly is seen in glaucoma associated with
1. Aniridia
2. Phakomatosis
3. Iridocorneal dysgenesis
4. Ectopia lentis

Correct answer: 3. Iridocorneal dysgenesis

Explanation: a) Microdontia; b.Slit pupil and iris atrophy; c.Corectopia with iris atrophy; d,e.Posterior embryotoxon; f.Broad peripheral anterior synechiae. Axenfeld anomaly is seen in glaucoma associated with iridocorneal dysgenesis. It is a posterior embryotoxon characterised by prominent Schwalbe's ring. Ref: Comprehensive Ophthalmology, A. K. Khurana, 4th edition, p214.